Metastasis of ca buccal mucosa goes to ?
1. Regional lymph node
2. Liver
3. Heart
4. Brain

Correct answer: 1. Regional lymph node

Explanation: Ans is 'a' ie Regional lymph nodes "Tumors in this area have a propensity to spread locally and to metastasize to regional lymphatics."- Schwartz Also know Lymphatic metastasis of Buccal ca go to submandibular and later upper jugular nodes. - Dhingra 4/e MC type of Buccal ca Squamous cell ca Commonest site of origin --> angle of mouth or the line of occlusion of upper and lower teeth (Dhingra)